NOT a Spiral muscle among the following is
1. Sternocleidomastoid
2. Supinator
3. Pectoralis major
4. Trapezius

Correct answer: 1. Sternocleidomastoid

Explanation: Spiral muscle are

Supinator
Pectoralis major
Trapezius
Latissimus dorsi